In children, all are true except -
1. Dislocations are rare
2. Comminuted fractures are common
3. Thick periosteum
4. Soft bones

Correct answer: 2. Comminuted fractures are common

Explanation: Uncommon injuries in children

Dislocation
Communited fracture
Hands & feet fracture